Vaccine which can be stored at-10°C temperature- a)  Poliob)  Measles c)  BCGd)  DPT
1. c
2. ab
3. cd
4. b

Correct answer: 2. ab